The contact area on the distal side of a maxillary first premolar is located:
1. Middle of the middle third with buccal embrasure wider than lingual
2. Middle of the middle third with lingual embrasure wider than buccal
3. Litter cervical to the junction of occlusal and middle third of the crown with wide occlusal embrasure
4. Cervical third with buccal embrasure wider than lingual embrasure

Correct answer: 3. Litter cervical to the junction of occlusal and middle third of the crown with wide occlusal embrasure